Best test to detect iron deficiency in community is:
1. Serum transferrin
2. Serum ferritin
3. Serum iron
4. Hemoglobin

Correct answer: 2. Serum ferritin

Explanation: Evaluation of iron status in the body can be done by: Serum ferritin: 'Most sensitive tool for evaluation of iron status' , especially in populations with low prevalence of anemia. Hemoglobin concentration: A relatively insensitive index of nutrient depletion. Serum iron concentration: Normal range is 0.80 - 1.80 mg/L. Serum transferrin saturation: Normal value is 30%.